Which toxin of streptococcus causes hemolysis around colonies:
1. Streptolysin O
2. Streptolysin S
3. Streptodornanse
4. Hyaluronidase

Correct answer: 2. Streptolysin S

Explanation: Option 1, 2 Streptolysin 'O' Streptolysin 'S' Oxygen labile Oxygen stable Hemolysis in reduced state only Hemolysis around streptococcal colonies. Cannot cause hemolysis on the surface of blood agar. Option 3 DNase/ Deoxyribonuclease/Streptodornanse : Diagnostic use: Anti-DNase B > 300-350 U is useful for the retrospective diagnosis of skin infections (pyoderma) and acute glomerulonephritis where ASO titer is low. Option 4 Hyaluronidase (spreading factor): Expressed by non-capsulated strains, such as M type 4 and 22.